Which of the following is true about constitutional delay in growth ?
1. Neonates with constitutional delay show anomalies at birth
2. IGF–1 levels are low for chronological age
3. Bone age is normal
4. IGF–1 levels are low for bone age

Correct answer: 2. IGF–1 levels are low for chronological age

Explanation: In constitutional growth delay, IGF-1 levels tend to be low for chronological age but within the normal range for bone age.
Birth weight and height are normal.
Bone age is less than chronological age.